A 43-year-old man develops chronic hepatitis, which was attributed to a complication resulting from multiple blood transfusions for sickle cell anemia. He complains of chronic sweating, palpitation, and hunger attacks. What would be the most likely cause of these symptoms?
1. Hepatogenic hypoglycemia
2. Hemolytic anemia
3. Jaundice
4. Spontaneous hyperglycemia

Correct answer: 1. Hepatogenic hypoglycemia

Explanation: The liver plays a role in glucose formation from various glucogenic amino acids and other substances. Hepatic disease removes this source of glucose supply. In insulin hypoglycemia, there is enhanced rapid uptake of glucose by fat tissue and muscle.